Which of the following method is used in the rapid identification of Candida:
1. Culture in solid
2. Germ tube method
3. Growing in an animal
4. Culture in liquid

Correct answer: 2. Germ tube method

Explanation: Ans. (b) Germ tube methodRef: Microbiology by Ananthanarayan and Paniker 8th ed. /607-608* A germ tube test is a diagnostic test in which a sample of fungal spores are suspended in serum and examined by microscopy for the detection of any germ.* It is particularly indicated for colonies of white or cream color on fungal culture, where a positive germ tube test is strongly indicative of Candida albicans